"Hitler intended to improve German race by killing the weak and defective"- this is an example of:
1. Positive eugenics
2. Negative eugenics
3. Euthenics
4. Gene therapy

Correct answer: 2. Negative eugenics

Explanation: Negative eugenics has little application in civilized world. People suffering from serious hereditary diseases may be sterilized or otherwise debarred from producing children. Ref: Park 21st edition page: 767.